Strength of wound after 2 months is governed by-
1. Collagen cross linking
2. Excess collagen deposition
3. Both 'a' and 'b'
4. None of the above

Correct answer: 1. Collagen cross linking

Explanation: Ans. is 'a' i.e., Collagen cross linking Wound strengtho At the end of first week, wound strength is approximately 10% that of normal skin,o Strength increases rapidly over the next 4 weeks.o At the end of third months, the strength reaches a plateau of about 70 to 80% of the normal skin, a condition that may persist for life.So, (Remember following facts)o Tensile strength never reaches the normal strength of unwounded tissue (i.e., 100%).o Maximum strength is achieved by the end of 3 months.o Maximum strength is 70-80% of normal tissue.How does tensile strength change with time ?o During first 2 months it is due to excess collagen deposition.o After that it is due to structural modification of collagen, i.e., cross-linking, increased fiber size.